Post term pregnancy is that which continues beyond :
1. 300 days
2. 294 days
3. 280 days
4. 270 days

Correct answer: 2. 294 days

Explanation: 294 days